'Explosive' growth rates occurs when annual rate of growth%
1. 0.5-1.0
2. 1.0-1.5
3. 1.5-2.0
4. > 2.0

Correct answer: 4. > 2.0

Explanation: (> 2.0): Ref: (413-Park 20th)GROWTH - RATES: - When the crude death rates is substracted from the crude birth rate, the net residual is the current annual growth rate, exclusive of migration.Relation between growth rates and populationsRatingAnnual rate of growth %Number of years required for the population to double in size* Stationary population* Slow growth* Moderate growth* Rapid growth* Very rapid growth* "Explosive" growth* "Explosive" growth* "Explosive" growth* "Explosive" growthNo growthLess than 0.50.5 to 1.01.0 to 1.51.5 to 2.02.0 to 2.52.5 to 3.03.0 to 3.53.5 to 4.0--More than 139139-7070-4747-3535-2828-2323-2020-18